All are endoscopic modalities of treatment of chronic radiation proctitis, EXCEPT:
1. Bipolar electrocoagulation
2. Laser therapy
3. Argon plasma coagulation
4. Ligation therapy

Correct answer: 4. Ligation therapy

Explanation: The goal of endoscopic treatments of CRP is to achieve hemostasis.Modalities are 1. Heater probe 2. Neodymium:yttrium-aluminium garnet (Nd:YAG) laser 3. Potassium titanyl phosphate (KTP) laser 4. Bipolar electrocoagulation Ref:World J Gastroenterol 2011 November 7; 17(41): 4554-4562.